Staphylococcus can cause -a) Ecthymab) Erythrasmac) Furuncled) Impetigo contagiosae) Sycosis barbae
1. bce
2. bde
3. abcd
4. acde

Correct answer: 4. acde

Explanation: Infections caused by staph aureus 

Staphylococcus aureus causes a broad range of human disease, and can infect almost any organ system.